Deoxy ribonucleic acid is formed from:
1. Ribonuclease
2. Ribonucleotide monophosphate
3. Ribonucleotide diphosphate
4. Ribonucleotide triphosphate

Correct answer: 3. Ribonucleotide diphosphate

Explanation: Ans. C. Ribonucleotide diphosphate(Ref: Harper 31/e page 312)Reduction of the 2'-hydroxyl of purine and pyrimidine ribonucleotides, catalyzed by the ribonucleotide reductase complex, provides the deoxyribonucleoside diphosphates (dNDPs) needed for both the synthesis and repair of DNA